A five year old boy develops sudden aphonia and respiratory distress while having dinner. Which of the following is the next recommended step in the management of this patient?
1. Heimlich's manoeuvre
2. Chest thrust manoeuvre
3. Finger Sweep manoeuvre
4. Cricothyroidotomy or Tracheostomy

Correct answer: 1. Heimlich's manoeuvre

Explanation: A large bolus of food obstructed above the cords may make the patient totally aphonic, unable to cry for help. He may die of asphyxia unless immediate first aid measures are taken. The measures consist of pounding on the back, turning the patient upside down & following Heimlich's manoeuvre. These measures should not be done if patient is only partially obstructed, for fear of causing total obstruction.